Which of the following has least GI toxicity ?
1. Indomethacin
2. Aspirin
3. Paracetamol
4. Phenylbutazone

Correct answer: 3. Paracetamol

Explanation: Ans. is 'c' i.e., Paracetamol o Paracetamol is one of the safest NSAIDs. It produces very little GI toxicity and can be administered in patients intolerant to other NSAIDs.